Nutrition to sperm is provided by-
1. Glucose
2. Fructose
3. Galactose
4. Starch

Correct answer: 2. Fructose

Explanation: Ans. is 'b' i.e., Fructose "Nutrition to sperms is mainly provided by fructose".